Tricarboxylic acid cycle to be continuous requires the regeneration of
1. Pyruvic acid
2. oxaloacetic acid
3. α-oxoglutaric acid
4. Malic acid

Correct answer: 2. oxaloacetic acid

Explanation: Oxaloacetate may be viewed as a catalyst, which enters into the reaction, causes complete oxidation of acetyl CoA and comes out of it without any change.
Reference: Vasudevan 7th  ed, pg 249